The kleihauer test for detecting fetal erythrocytes is based on the fact that :
1. Adult erythrocytes are larger than those of foetus
2. hbA has higher 02 affinity than hbF
3. hbF is more resistant to acid elution
4. hbA takes erythromycin stain less than hbF

Correct answer: 3. hbF is more resistant to acid elution

Explanation: hbF is more resistant to acid elution